Umblicated nodules are produced by?
1. Poxvirus
2. Enterovirus
3. Rhinovirus
4. Myxovirus

Correct answer: 1. Poxvirus

Explanation: Ans. is 'a' i.e., Poxvirus Nodules with central umblication is produced in molluscum contagiosum, caused by a Poxvirus.